100. A Patient presents with pain in Meta-Tarso-Phalangeal joints and is a known case of chronic renal failure. This is due to accumulation of:
1. Rh factor
2. Uric acid
3. Serum urea
4. HLA B27 typing

Correct answer: 2. Uric acid

Explanation: Ans. b. Uric acid The underlying basis of gouty arthritis is increased serum uric acid level. Most common joint involved in gout: Meta-Tarso-Phalangeal jointsQ Precipitation of monosodium urate crystalsdeg into the joints is the underlying basis for these urate crystals is increased total body urate levels